Mouth preparation for removable cast partial denture include
1. Periodontal preparation only
2. Oral surgical preparation only
3. Abutment tooth preparation only
4. All of the above

Correct answer: 4. All of the above